The most common route of administration of insulin is:
1. Intradermal
2. Subcutaneous
3. Intramuscular
4. Intravenous

Correct answer: 2. Subcutaneous